Most common malignancy of the endocrine system?
1. Thyroid cancer
2. Pancreatic cancer
3. Pituitary adenoma
4. Adrenal malignancy

Correct answer: 1. Thyroid cancer

Explanation: Ans. (a) Thyroid cancerRef: Harrison 18th ed. / 341* Thyroid carcinoma is the most common malignancy of the endocrine system.* Differentiated tumors, such as papillary thyroid cancer (PTC) or follicular thyroid cancer (FTC), are often curable, and the prognosis is good for patients identified with early-stage disease.* In contrast, anaplastic thyroid cancer (ATC) is aggressive, responds poorly to treatment, and is associated with a bleak prognosis.